Which statement best describes the cranial fossa?
1. The middle cranial fossa contains the cribriform plate.
2. The anterior cranial fossa contains the pituitary gland.
3. The middle cranial fossa is floored by the sphenoid and temporal bones.
4. The internal acoustic meatus lies in the middle cranial fossa.

Correct answer: 3. The middle cranial fossa is floored by the sphenoid and temporal bones.

Explanation: The floor of the middle cranial fossa is made up of the body and greater wing of the sphenoid as well as the squamous temporal bone. The cribriform plate forms part of the floor of the anterior cranial fossa The middle cranial fossa contains the pituitary gland. The internal acoustic meatus lies in the posterior cranial fossa.